Expectant line of management in placenta previa is contraindicated in :
1. Preterm fetus
2. Live fetus
3. Breech presentation
4. Active labour

Correct answer: 4. Active labour

Explanation: Active labour